The gold standard for the diagnosis of osteoporosis is –
1. Dual energy X-ray absorptiometry
2. Single energy X-ray absorptiometry
3. Ultrasound
4. Quantitative computed tomography

Correct answer: 1. Dual energy X-ray absorptiometry

Explanation: Dual Energy X-ray absorptiometry (DEXA) is the gold standard and investigation of choice for diagnosis of osteoporosis.